Maximum protein among pulses is found in-
1. Green gram
2. Red gram
3. Soyabean
4. Black gram

Correct answer: 3. Soyabean

Explanation: Ans. is 'c' i.e., Soyabean Amongst Pulses o Highest calories-Soyabeano Highest protein-Soyabeano Highest fat-Soyabeano Highest iron-Soyabeano Highest thiamine-Soyabeano Highest riboflavin-Soyabeano Highest calcium-Horse gramo Highest Niacin-Peas dryo Highest vit C-Bengal gram